"Call exner bodies" are seen in -
1. Dysgerminoma
2. Theca cell tumor
3. Granulosa cell tumor
4. Polyembryoma

Correct answer: 3. Granulosa cell tumor

Explanation: Ans. is 'c' i.e. 'Granulosa cell tumour" (Ref. Shows, 13/e, p 363 (12/et p. 319)).Call Exner bodies are seen in granulosa cell tumour.Remember the followingCall Exner bodies are seen in - Granulosa cell* Rinkies crystals are seen in - Hilus cell* Signet ring cells - Krukenberg's*Schiller Duval bodies - Endodermal sinus tumour*Psammoma bodies - Serous tumours*Meigs' syndrome - FibromaPseudo Meigs syndrome - Brenner tumor*